Which of the following technique can be used only in edentulous maxilla to treat oro-antral fistula?
1. Rehrmann Flap
2. Ashley Flap
3. Bridge Flap
4. Burger Flap

Correct answer: 3. Bridge Flap